The optic cup is an evagination of which of the following?
1. Telencephalon
2. Diencephalon
3. Mesencephalon
4. Metencephalon

Correct answer: 2. Diencephalon

Explanation: The optic cup and its derivatives--the retina and optic nerve--develop from the diencephalon.